6 months old baby brought to OPD with complaitns of loud, noisy breathing since birth after feeding on supine position. Baby birth history is insignificant. Treatment for the condition is
1. 3rd generation cephalosporins
2. Heimlich's maneuver
3. Reassurance
4. Single dose of Dexamethasome

Correct answer: 3. Reassurance

Explanation: The given case scenario is laryngomalacia. It is the most common anamoly of Larynx. The baby presents with stridor in supine position and relieved on prone position. The condition is self resolving by 1 year.